Montelukast is
1. Selective antagonists of leukotrienes receptor
2. Lipooxygenase inhibitor
3. H1 antagonist
4. H3 antagonist

Correct answer: 1. Selective antagonists of leukotrienes receptor

Explanation: Montelukast and zafirlukast is selective antagonists of the CysLT1 receptor for leukotrienes. Competetively inhibit the bronchoconstictor effects of leukotrienes. Basic and clinical pharmacology Katzung 13th edition pg 324